Which of the following is not a stage of progression of space infection:
1. Inoculation.
2. Abscess.
3. Cellulitis.
4. Isolation.

Correct answer: 4. Isolation.